Gartner cyst is a remnant of?
1. Mesonephric duct in females
2. Mesonephric duct in males
3. Paramesonephric dut in males
4. Paramesonephric duct in females

Correct answer: 1. Mesonephric duct in females

Explanation: The equivalent of male ductus deferens called Gartner's duct develops from mesonephric ducts of female Inderbir Singh's Human embryology Tenth edition Pg 316